Ascites with SAAG < 1 is seen in
1. Cirrhosis
2. Budd chiari syndrome
3. Cardiac ascitis
4. Nephrotic syndrome

Correct answer: 4. Nephrotic syndrome

Explanation: SAAG is calculated by subtracting ascitic fluid from serum albumin level, if swag is less than 1.1 then it is called low gradient SAAG which suggests an absence of portal hypertension and is seen in a condition like nephritic syndrome. SAAG more than 1.1 suggest presence of portal hypertension, it is called high gradient SAAG is seen in cirrhosis, Budd Chiari syndrome, cardiac ascites Reference : SRB edition : 5 page: 625